Haemobilia is charactericed by all except
1. Jaundice
2. Biliary colic
3. Melaena
4. Fever

Correct answer: 4. Fever

Explanation: Hemobilia,i,.e.,bleeding from the liver or occasionally from the gallbladder into the biliary tract. Hemobilia is characterised by Triad of Sandloom/Quincke's which includes Jaundice(60%);Colicky pain (70%) and Upper GI bleed with melaena(90%),haematemesis(60%).All three features of triad are seen only in 20% cases. Reference :SRB's manual of surgery,5th edition,page no:663.